Who introduced cocaine in psychiatry -
1. Freud
2. Jung
3. Milar
4. Stanley

Correct answer: 1. Freud

Explanation: Sigmund Freud studied about the effects of cocaine. It is also believed that he was addicted to cocaine for a long period.